Non-invasive test for H. Pylori:
1. Rapid urease test
2. Biopsy
3. Stomach aspirate culture
4. Urea breath test

Correct answer: 4. Urea breath test

Explanation: Ans. D. Urea breath testTests for detection of H. Pyloria) Invasive:Histopathology,Rapid urease test (Done on gastric biopsy),Cultureb) Non-lnvasive:Urea breath test,Serology, stool antigen test (Coproantigen assay),PCR